True about Apoptosis aIl Except
1. Annexin 5 is marker
2. Inflammation is present
3. Cell shrinkage
4. Clumping of chromatin

Correct answer: 2. Inflammation is present

Explanation: In apoptosis, the dead cell and its fragments are rapidly cleared before cellular contents have leaked out, so apoptotic cell death does not elicit an inflammatory reactionin the host. Apoptosis differs in this respect from necrosis, which is characterized by loss of membrane integrity, enzymatic digestion of cells, leakage of cellular contents, and frequently a host reaction.( Robbins Basic Pathology, 9th edition, page 18 )